Obesity predisposes to all, except -
1. Diabetes
2. Colon cancer
3. Lung cancer
4. Breast cancer

Correct answer: 3. Lung cancer

Explanation: Park's textbook of preventive and social medicine 23rd edition. obesity is a positive risk factor in the development of hypertension, diabetes, gallbladder disease,coronary heart disease and certain type cancers especially the hormonally related and large bowel cancer..